Hypernatremic dehydration in children leads to irritability, restlessness, weakness, lethargy and fever. What is the most devastating consequence of hypernatremia in children?
1. Seizures
2. Hyperglycemia
3. Brain hemorrhage
4. Hypocalcemia

Correct answer: 3. Brain hemorrhage

Explanation: Brain hemorrhage -most devastating consequence of acute & severe hypernatremia. Due to hypernatremia, extracellular osmolality increases | Osmotic shift of water from neurons- leading to shrinkage of brain | Tearing of meningeal vessels - Intracranial hemorrhage Seizures- sequelae to intracranial hemorrhage